Commonest mycobacterial infection in patient in tropical countries -
1. M. Leprae
2. M. avium intracellulare
3. M. tuberculosis
4. M. kansasii

Correct answer: 3. M. tuberculosis